The refractive power of an emmetropic eye is about:
1. +50D
2. +55D
3. +60D
4. +65D

Correct answer: 3. +60D

Explanation: Ans. +60D